True about Hurler's syndrome is:
1. Corneal clouding is seen
2. Abnormal deposits are found in ﬁbroblasts
3. Reilly bodies are the characteristic feature
4. All of the above

Correct answer: 4. All of the above

Explanation: In Hurler's syndrome, histologically, abnormal deposits are found in ﬁbroblasts assuming the  appearance of ‘Hurler cells’ or ‘gargoyle cells’ in gingival tissues of aﬀected. Also, presence of reilly  bodies or metachromatic granules in the cytoplasm of circulating lymphocytes is an important feature.